Where in the kidney does acitve reabsorption of sodium ions occur -
1. Collecting duct
2. Distal tubule
3. Ascending limb of Henle
4. All of the above

Correct answer: 4. All of the above

Explanation: D i.e. All